A female patient after injury comes to casualty. Her ABG shows low pH, pCO2 high, bicarbonate normal. The diagnosis is:
1. Respiratory alkalosis
2. Respiratory acidosis
3. Metabolic acidosis
4. Metabolic alkalosis

Correct answer: 2. Respiratory acidosis

Explanation: Answer is B (Respiratory acidosis) The acid base disorder is respiratory acidosis. There is acidosis (pH : low) Raised pCO2 (acidosis) indicates that the change in CO2 is therefore primary Normal bicarbonate indicates that there is no alteration in the metabolic component The acid base disorder therefore is Respiratory acidosis.